In a child presenting with obstructive jaundice all are seen except
1. Gamma glutamyl transpeptidase
2. Alkaline phosphatase
3. Glutamate dehydrogenase
4. 5' Nucleotidase

Correct answer: 3. Glutamate dehydrogenase

Explanation: .lab investigations in obstructive jaundice gamma glutamyl transpeptidase:>50IU/L Serum bilirubin:>1mg%direct is increased serum albumin globulin ratio prothrombin time serum alkaline phosphatase,SGOT,SGPT,5&;nucleotidase ERCP TLC BAILEY AND LOVE'S SHO PRACTICE OF SURGERY,24 th edition, PG NO:696